What is the duration of multibacillary leprosy treatment?
1. 24 months
2. 18 months
3. 12 months
4. 6 months

Correct answer: 3. 12 months

Explanation: Ans. C. 12 monthsAs per the WHO multidrug therapy regimen for treatment of leprosy, the duration of treatment for multibacillary leprosy is 12 monthsWHO proposed Multi Drug Therapy (MDT) for the treatment of LeprosyAge groupDrugDuration of TreatmentAdultRifampicin 600mg once a month+Clofazimine 300mg once a month and 50mg daily+Dapsone 100mg daily12 months(Multibacillary)6 months(Pauci bacillary)Children (10-14 years)Rifampicin 450mg once a month+Clofazimine 150mg once a month, 50mg daily+Dapsone 50mg daily12 months(Multibacillary)6 months(Pauci bacillary)Children <10 years old or <40 kgRifampicin 10mg/kg once a month+Clofazimine 6mg/kg once a month, 1mg/kg daily+Dapsone 2mg/kg daily12 months(Multibacillary)6 months(Pauci bacillary)